Gleason's classification used for-
1. Carcinoma breast
2. Carcinoma prostate
3. Carcinoma pancreas
4. Carcinoma rectum

Correct answer: 2. Carcinoma prostate

Explanation: Gleason's microscopic gradingsystem which is based on two features:i) Degree of glandular differentiation.ii) The growth pattern of the tumor in relation to the stroma.These features are assessed by low-power examinationof the prostatic tissue. For clinical staging of prostate cancer,The TNM system is considered an international standard. HARSH MOHAN Textbook of pathology 6th edition pg no 720